1715. True regarding anaemia of chronic ds. are A/E -
1. Decreased TIBC
2. Increased macrophage iron in marrow
3. Decrease serum ferritin level
4. Decreased serum iron levels

Correct answer: 3. Decrease serum ferritin level

Explanation: In anemia of chronic disorder,a defect in transfer of iron from macrophage to developing erythroid cells in the marrow leads to reduced availability of iron for haem synthesis despite adequate iron stores,elevating serum ferritin.

Harsh mohan textbook of pathology sixth edition pg no 302